Pagets disease of breast is associated with which of the following?
1. Ductal carcinoma in situ
2. Lobular carcinoma in situ
3. Phyllodes tumor
4. Mondors disease

Correct answer: 1. Ductal carcinoma in situ

Explanation: Ans. is 'a' i.e., Ductal carcinoma in situ * Paget disease of the nipple is a rare manifestation of breast cancer - 1% to 4% of cases.* It presents as a unilateral erythematous eruption with a scale crust. Pruritus is common, and the lesion may be mistaken for eczema.* Malignant cells (Paget cells) extend from ductal carcinoma in situ (DCIS) within the ductal system via the lactiferous sinuses into nipple skin without crossing the basement membrane.